Treatment of choice in Hodgkin's Lymphoma is:
1. CHOP
2. MOPP
3. ABVD
4. MOPP and ABVD hybrid

Correct answer: 3. ABVD

Explanation: Answer is C (ABVD) ABVD is the chemotherapy regimen of choice in Hodgkins lymphoma 'Chemotherapy with ABVD is considered the standard first line treatment for most patients and is superior to MOPP in efficacy and toxicity profile '- Manual of Clinical Oncology 6'"/443 Regimen Agents Comments ABVD Doxorubicin Bleomycin Vinblastine Dacarbazine * First line treatment of choice * Most popular regimen in United States * More effective than MOPP * Lesser incidence of Sterility and secondary malignancies than MOPP * More satisfactory than MOPP and ABVD in alternating cycles or MOPP/ABV Hybrid MOPP Mechlorethamine Vincristine Procarbozine Prednisolone * Less effective and more toxic than ABVD * Higher incidence of sterility and secondary malignancies than ABVD